Hirsprung disease is due to
1. Loss of anterior longitudinal cells
2. Loss of ganglionic cell in paravertebral sympathetic chain
3. Failure of migration of neural crest.cell from cranial tocaudal direction
4. Idiosyncratic

Correct answer: 3. Failure of migration of neural crest.cell from cranial tocaudal direction

Explanation: C i.e. Failure of migration of neural crest cells from cranial to caudal direction